In individuals 2 to 18 years old, the Stanford Binet Scale is most useful for evaluating
1. Cerebral dominance
2. General intellectual ability
3. Perceptuomotor performance
4. Memory

Correct answer: 2. General intellectual ability

Explanation: The Stanford-Binet Scale is useful for evaluating general intellectual ability in individuals 2 to 18 years old. Cerebral dominance, perceptuomotor performance, memory, and presence or absence of dyslexia are evaluated in adults using neuropsychological tests such as the Halstead-Reitan and Luria-Nebraska test batteries.